pH of Sabouraud dextrose agar is
1. 12
2. 10-Aug
3. 6-Apr
4. 8-Jun

Correct answer: 3. 6-Apr

Explanation: Sabourauds dextrose agar (Selective media) is maintained at pH of 5.4 and same is used for isolation of fungus. The low pH of the medium and addition of chloramphenicol and cycloheximide to the medium inhibit the growth of bacteria in the specimen and thereby facilitate the appearance of slow-growing fungi Image: SDA slant with fungal growth